Specificity of a screening test measures -
1. True positives
2. False positives
3. False negatives
4. True negatives

Correct answer: 4. True negatives

Explanation: Ans. is 'd' i.e. True negatives Repeat from May 06Sensitivity is the ability of test to identify correctly all those who have the disease, i.e. 'true positives'.Specificity is the ability of a test to identify correctly those who do not have the disease, i.e. 'true negatives'.